True regarding morphine –
1. Tolerance develops for all except miosis and constipation
2. Tolerance to all effects develops with chronic usage
3. Tolerance develops for all except euphoria and sedation
4. Tolerance can develop to all effects in high doses

Correct answer: 1. Tolerance develops for all except miosis and constipation

Explanation: Tolerance is exhibited to most actions of morphine except for miosis and constipation.